Which of the following is true about Digoxin
1. It acts by inhibiting PDE 3
2. Dose reduction is not required in liver failure
3. Hyperkalemia predisposes to Digoxin toxicity
4. Atrial flutter is the most characteristic arrhythmia caused by Digoxin toxicity

Correct answer: 2. Dose reduction is not required in liver failure

Explanation: Digoxin acts by inhibiting Na+- K+ ATPase.
Dose reduction is required in renal failure not liver failure.
Hypokalemia increases the risk of Digoxin toxicity.
Most common arrhythmia in Digoxin toxicity is most ventricular bigeminy.
Most characteristic arrhythmia seen in Digoxin toxicity is Atrial tachycardia + AV Nodal blockade.